In which one of the following is the calcium content of milk lowest –
1. Human milk
2. Goat milk
3. Cow milk
4. Buffalo milk

Correct answer: 1. Human milk